Commonest cancer in burn scar is -
1. Sq. cell Ca
2. Fibrosarcoma
3. Adenoa Ca
4. Adeno-squamous Ca

Correct answer: 1. Sq. cell Ca

Explanation: Answer is 'a' i.e. Sq. Cell Ca. Malignancy arising in burn scar is k/a Marjolin's ulcer. It is most commonly squamous cell ca, although basal cell carcinomas may also be seen.